H. Pylori causes all except:
1. Peptic ulcer
2. Maltoma
3. Carcinoid tumor
4. Gastric CA

Correct answer: 3. Carcinoid tumor

Explanation: Ans. (c) Carcinoid tumorRef: Harrison 19th ed. /1039-1040* H.pylori is gram negative bacteria, non sporing, micro aerophilic, extra cellular bacteria. H.pylori releases urease enzyme which converts urea to ammonia and ammonia stimulates G cells of stomach which inturn stimulates parietal cells and cause secretion of Hcl a Hyperchlorydia. This acid travels into stomach & duodenum a causes peptic ulcers .* H.pylori is a type I carcinogen, which, if present in stomach for long term can cause cancer called MALTOMA (Mucosa Associated Lymphoid Tumor),which is a B-type NHL.Also know* MC site of duodenal ulcer in duodenum: D1 V* If ulcer at Dl, D2, D3 a Zollinger Ellison Syndrome* IOC for H. pylori: Urease test (invasive procedure)* Urea breath test: test for eradication of infection* S. Elisa: screening test for H.Pylori